Standard in perimetry ?
1. Goldman type I
2. Goldman type II
3. Goldman type III
4. Goldman type IV

Correct answer: 3. Goldman type III

Explanation: Ans. is 'c' i.e., Goldman type III Projected stimuli in perimetry are usually white and of variable size and intensity. There are five different sizes on Goldmann scale designated by Roman numeral Ito V. The standard used in both manual and automated perimetry is Goldman III (0.05" and area of 4mm2). o Failure to recognize target size III necessitates testing with stimulus V Goldman scale Stimulus size (mm2) I '/4 II 1 III 4 IV 16 v 64